Modifiable risk factors for hypertension is ?
1. Genetic factors
2. Age
3. Sex
4. Obesity

Correct answer: 4. Obesity

Explanation: Ans. is 'd' i.e., Obesity Risk factors for hypertensionModifiableNon - modifiableo Obesity'o Salt intakeo Saturated fato Dietary fibreo Alcohol intakeo Physical activity'o Environmental stresso Socio-economic statuso Ageo Sexo Genetic factorso Ethnicity